Dermatophyes affect -
1. Keratin
2. Dermis of skin
3. Stratum basal
4. Stratum spongiosum

Correct answer: 1. Keratin

Explanation: Dermatophytes is is the superficial fungal infection of the keratinised tissue commonly called tinea. they are keratophilic organisms invade dead tissue- stratum corneum skin, hair and nails iadvl textbook of dermatology page 252